Which of the following is a chemotactic factor:
1. Prostaglandins
2. Prostacyclins
3. Thromboxanes
4. Leukotrienes

Correct answer: 4. Leukotrienes

Explanation: Leukotrienes